Tokyo guidelines are used to assess severity of which condition
1. Peptic ulcer disease
2. GERD
3. Cholecystitis
4. IBD

Correct answer: 3. Cholecystitis

Explanation: Tokyo guidelines are used in diagnosing, assessing severity and treatment of cholecystitis and cholangitis.